Shortest acting benzodiazepine is :
1. Midazolam
2. Alprazolam
3. Lorazepam
4. Diazepam

Correct answer: 1. Midazolam